Griffith experiment was done on ?
1. Streptococcus
2. Pneumococcus
3. Enterococcus
4. Staphylococcus

Correct answer: 2. Pneumococcus

Explanation: Ans. is 'b' i.e., Pneumococcus In 1928, Frederick Griffith's experiment first demonstrated transformation in streptococcus pneumoniae.Frederick Griffith's experiment on pneumococcus (streptococcus pneumoniae) proved that genetic characters are transmitted from one generation to the other through transformation.